Nucleic acid is not found in -
1. Virus
2. bacteria
3. Fungus
4. Prions

Correct answer: 4. Prions

Explanation: Ans. is 'd' i.e., Prions o Prions are infectious particle which contains protein onlyo They do not have nucleic acid. Prions have been defined as -Small proteinaceous infectious particle which resist inactivation by procedures that modify nucleic acids.